Soap bubble appearance in X-ray is seen in –
1. Multiple cystic kidney
2. Neuroblastoma
3. Cystic lymphangiectasis
4. Meconium ileus

Correct answer: 4. Meconium ileus

Explanation: Soap bubble appearance is seen in meconium ileus due to admixture of gas with meconium.